Dentist participating in the delta dental planers paid 90th percentile whereas non-participating dentists are paid
1. 15th percentile
2. 30th percentile
3. 100th percentile
4. 50th percentile

Correct answer: 4. 50th percentile